Most common cause of 'target lesion' in stomach is:
1. Melanoma
2. Carcinoid
3. Lymphoma
4. Fibroma

Correct answer: 1. Melanoma

Explanation: Ans. Melanoma